Which of the following fluorinated anaesthetics corrodes metal in vaporizers and breathing systems ?
1. Sevoflurane
2. Enflurane
3. Isoflurane
4. Halothane

Correct answer: 4. Halothane

Explanation: In the presence of moisture halothane attacks metals (tin, brass and aluminum) in vaporisers and circuits.